An abnormal palmar crease seen in all conditions, EXCEPT:
1. Fetal alcohol syndrome
2. Down syndrome
3. Cri-du chat syndrome
4. LPAC syndrome ( Low phospholipid associated cholestasis)

Correct answer: 4. LPAC syndrome ( Low phospholipid associated cholestasis)

Explanation: The presence of a single transverse palmar crease can be, but is not always, a symptom associated with abnormal medical conditions, such as fetal alcohol syndrome or with genetic chromosomal abnormalities, including Down syndrome (chromosome 21), cri du chat syndrome (chromosome 5), Klinefelter syndrome, Noonan syndrome (chromosome 12), Patau syndrome (chromosome 13), Edward's syndrome (chromosome 18), and Aarskog-Scott syndrome (X-linked recessive). A unilateral single palmar crease was also reported in a case of chromosome 9 mutation causing multiple basal cell nevus syndrome and Robinow/brachydactyly 1 syndrome. It is also sometimes found on the hand of the affected side of patients with Poland Syndrome and craniosynostosis. LPAC is seen in families and featured by reccurent attacks of cholestatic jaundice, gallstones, biliary cirrhosis.